A patient has a history of previous sudden full term IUFD (unknown cause), now presents with itching at 9th month of pregnancy, with bilirubin of 3 mg/dL, mildly raised AST. A diagnosis of IHCP was made. Management is ?
1. Elective LSCS at 36 weeks
2. Ursodeoxycholic acid + Induction at 38 weeks with strict intrapartum fetal monitoring
3. Symptomatic management and terminate at 40+ weeks
4. FFP transfusion

Correct answer: 2. Ursodeoxycholic acid + Induction at 38 weeks with strict intrapartum fetal monitoring

Explanation: IHCP is a recurrent condition. The previous IUFD could have been due to IHCP in previous pregnancy. This condition presents mostly in third trimester. IHCP patients must not be allowed to continue pregnancy much beyond 37-38 weeks.